Which of the following statement is false about Total intravenous anaesthesia (TIVA)
1. It is contraindicated in neurosurgery
2. It can be safely used in person with history of malignant hyperthermia
3. Pulmonary vasoconstriction is maintained by it.
4. Propofol is the commonest used agent for it.

Correct answer: 1. It is contraindicated in neurosurgery

Explanation: TIVA is preferred technique for neurosurgery, thoracic surgery, patient with malignant hyperthermic gene. TIVA with propofol offers some important advantages over inhalation anesthetics, including Smooth induction and rapid recovery with minimal hangover and a low incidence of nausea and vomiting Can be safely used in the patient susceptible to malignant hyperpyrexia Reduction in operation theatre pollution and thus the green house effect of inhalational anesthesia The paralysis is not always required, avoiding reversal agents and emergence is rapid (especially when propofol TIVA is used with remifentanil).